Case control study method has following three distinct features. Select inappropriate one
1. Both exposure and outcome have occurred before the start of the study
2. Unit of study is group rather than individual
3. The study proceeds backward from effect to cause
4. It uses a control or comparison group to support or refute an interference

Correct answer: 2. Unit of study is group rather than individual

Explanation: Case control Study - Case control studies, often called as"retrospective studies" .It has 3 distinctive features both exposure and outcome (disease) have occurred before the start of the study. the study proceeds backwards from effect to cause. it uses a control or comparison group to support or refute an inference. - In case control studies,the unit is individual rather than the group. EXTRA EDGE: UNIT OF STUDY: Cohort study, Case control study, Cross sectional study - Individual Ecological study, Descriptive study - Population.